Which of the following is a topical sulfonamide ?
1. Sulfadoxine
2. Mafenide
3. Sulfamethopyrazine
4. None

Correct answer: 2. Mafenide

Explanation: Ans. is 'b' i.e., Mafenide Classfication of sulfonamides Short acting - Sulfadiazine, Sulfisoxaxole, Sulfamethizole, Sulfacystine. Intermediate acting - Sulfamethoxazole. Long acting - Sulfadoxine, Sulfamethopyrazine. Topical Sulfonamides - Sulfacetamide sodium, Mafenide, silver sulfadiazine. Sulfonamide for RA and ulcerative colitis - Sulfasalazine.